Which is not an effect of atropine ?
1. Rise of body temperature
2. Decreased salivary secretion
3. Bradycardia
4. Increased A–V conduction

Correct answer: 3. Bradycardia